Fluctuating recurring variable sensorineural deafness is seen in:
1. Serous otitis media
2. Hemotympanum
3. Perilymphatic fistula
4. Cholesteatoma

Correct answer: 3. Perilymphatic fistula

Explanation: (c) Perilymphatic fistula(Ref. Scott Brown, 8th ed., Vol 2; 1085)Serous otitis media can lead to Fluctuating conductive deafness.In hemotympanum and Cholesteatoma the hearing loss is mainly conductive and not fluctuating.